The following is true of brachial plexus:
1. Cervical rib involves lateral cord
2. Musculocutaneous nerve arises from medial cord
3. Radial nerve arises from posterior cord
4. Post fixed plexus is formed by C45678 and T1

Correct answer: 3. Radial nerve arises from posterior cord

Explanation: C - B.D. Chourasia, Vol.l, 4th ed, p. 51,52